Energy is required in
1. Diffusion
2. Osmosis
3. Active transport
4. None

Correct answer: 3. Active transport

Explanation: The passage of substances against their electrical and chemical gradient at the expenditure of energy is called active transport. (REF: TEXTBOOK OF MEDICAL PHYSIOLOGY GEETHA N 2 EDITION, PAGE NO - 6)